All are variables most consistently predicts 6 week mortality , EXCEPT:
1. Child-Pugh class C
2. MELD score > 18
3. Early rebleeding
4. Age > 50

Correct answer: 4. Age > 50

Explanation: The variables most consistently found to predict 6-week mortality are: Child-Pugh class C MELD score > 18 Failure to control bleeding or early re-bleeding Ref:Journal of Hepatology 2010